Drug therapy used in treatment of Wernicke's encephalopathy
1. Diazepam
2. Disulfiram
3. Thiamine
4. Cyanocobalamin

Correct answer: 3. Thiamine

Explanation: (C) Thiamine # Thiamin deficiency can result in three distinct syndromes:> A chronic peripheral neuritis, beriberi, which may or may not be associated with heart failure and edema; acute pernicious (fulminating) beriberi (shoshin beriberi), in which heart failure and metabolic abnormalities predominate, without peripheral neuritis; and Wernicke's encephalopathy with Korsakoff's psychosis, which is associated especially with alcohol and drug abuse.> Therapeutic uses of Thiamine: most neurological symptoms in chronic alcoholics are due to thiamine deficiency -peripheral neuritis Wernick's encephalopathy, Korskoffs psychosis: give 100 mg/day paranterally.